Rapid change of presbyopic glass is a feature of –
1. Senile cataract
2. Retinal detatchment
3. Intumescent cataract
4. Open angle glaucoma

Correct answer: 4. Open angle glaucoma

Explanation: Clinical features of POAG :- Headache, eyeache, frequent changes in presbyopic correction, scotoma (visual field defect), difficulty in dark adaptation.